Which of the following vitamins serves as a cofactor in carboxylation reactions?
1. Thiamine
2. Riboflavin
3. Biotin
4. Pantothenic acid

Correct answer: 3. Biotin

Explanation: Reference: Harpers illustrated biochemistry 30th edition